In which one of the following prineural invasion in head and neck cancer is most commonly seen
1. Adenocarcinoma
2. Adenoid cystic carcinoma
3. Basal cell adenoma
4. Squamous cell carcinoma

Correct answer: 2. Adenoid cystic carcinoma

Explanation: Adenoid cystic carcinoma has got high affinity for perineural spread(both axially and circumferentially;antegrade and retrograde fashion) along mandibular and maxillary divisions of trigeminal (common) and facial nerve .It infiltrates nerve more proximally for long distance. Tumour may reach Gasserian trigeminal ganglion ,pterygopalatine ganglion and cavernous sinus SRB,5th,417.